All are antiplatelet drugs Except
1. Aspirin
2. Clopidogrel
3. Dipyridamole
4. Warfarin

Correct answer: 4. Warfarin

Explanation: Warfarin is an oral anticoagulant. All the others are anti platelet drugs. From medical pharmacology padmaja 4th edition Page no 341,343